Fluid mosaic model was proposed by
1. Singer and Nicolson
2. David Robertson
3. Meselson and Sahli
4. Robert Darwin

Correct answer: 1. Singer and Nicolson

Explanation: Proposed by Singer and Nicolson. This model is likened to integral membrane protein 'icebergs' floating in a sea of predominantly fluid phospholipid molecules. At normal body temperature (37 0 C) the lipid bilayer is in a fluid state. The longer and more saturated fatty acid chains cause higher values of transition temperature.